Chandler's endemic index is used in:
1. Dengue hemorrhagic fever
2. Malaria
3. Hookworm infestation
4. Cholera

Correct answer: 3. Hookworm infestation

Explanation: Ans: C (Hookworm infestation) Ref: Textbook of Preventive and Social Medicine, K Park.20th edition, page no. 2/5Explanation:Chandler's endemic index - Hookworm InfestationEndemic index - Chandler worked out an index on the basis of average number of hookworm eggs per gram of faeces for the entire community, as below:Average number of eggs per gram of stools :Below 200 - Hook worm infection is not of much significance200 - 250 - May be regarded as potential danger250 - 300 - Minor public health problem Above 300 - Important public health problemChandler's index is still used in epidemiological studies of hookworm disease and also to assess the benefit of mass deworming program.